Structure of proteins is best studied by:
1. X -ray crystallography
2. Ultra centrifugation
3. Using Sangers reagent
4. Sucrose density gradient centrifugation

Correct answer: 1. X -ray crystallography

Explanation: A Harper, 26th ed, p. 35 & 25th ed, p. 55